Iliofemoral ligament arises from
1. Ischial tuberosity
2. Anterior superior iliac spine
3. Anterior inferior iliac spine
4. Iliopubic rami

Correct answer: 3. Anterior inferior iliac spine

Explanation: SSIliofemoral Ligament is also called Ligament of Bigelow.SSStrongest ligament in the body.SSInverted Y shaped, strengthens the anterior part of capsule of HIP JOINTThe upper half of the anterior inferior iliac spine gives origin to the straight head of the rectus femoris. The rough lower part of this spine gives attachment to the iliofemoral ligamentReference: Chaurasia; 6th edition; Chapter 2; Bones of the lower limb